Sweaty feet odor is seen in
1. Maple syrup urine disease
2. Gauchers disease
3. Isovaleric acidemia
4. Phenylketonuria

Correct answer: 3. Isovaleric acidemia

Explanation: Sweaty feat odor - Isovaleric AcidemiaSmoky sweat - MSUDMousy or Musty - PhenylketonuriaBoiled cabbage - TyrosinemiaIn alkaptonuria - urine becomes darkish brown when exposed to air while purplish brown in porphyria(Refer: Nelson's Textbook of Pediatrics, SAE, 1st edition, pg no. 651)